String of Kantor is seen in -
1. Crohn's disease
2. Ulcerative colitis
3. TB
4. Carcinoma

Correct answer: 1. Crohn's disease

Explanation: String sign, or gastrointestinal string sign (also called string sign of Kantor), is a radiographic finding i.e, seen in barium meal/enema, in which the patient is given a radio-opaque material, such as barium, to drink. The gastrointestinal string sign -- a severe narrowing of loop of bowel, in which a thin stripe of contrast within the lumen looks like a string. It may be seen in : Crohn's disease, hypertrophic pyloric stenosis, carcinoid tumor colon cancer. In Crohn's Disease, -- the string sign is caused by incomplete filling of the intestinal lumen, which results from irritability and spasm associated with severe ulceration. In such cases, the string sign is most frequently seen at the terminal ileum. In infants with hypertrophic pyloric stenosis, the pylorus is narrowed and the radio-opaque material will take on the appearance of a thin string as it passes through this narrowed channel. here it is also called the "railroad track sign ref : bailey and love 27th ed